which of the following anti-depressant is used for smoking cessation
1. .fluoxetine
2. bupropion
3. reboxetine
4. venlafaxine

Correct answer: 2. bupropion

Explanation: Nicotine Nicotine use leads to cancer in oral , lungs and stomach Smoking cessation can be done by medications and by nicotine replacement therapy DRUGS=====================Bupropion (zyban). Nor adrenergic dopamine reuptake inhibitor SIDE EFFECT==== Seizure Vareniciline. Alpha 4 beta 2 partial agonist Ref.Kaplon and Sadock, synopsis of psychiatry, 11 th edition, pg no.682